Which of the following oral contraceptive pills have the least amount of estrogen?
1. Mala N
2. Triquilar
3. Femilon
4. Novelon

Correct answer: 3. Femilon

Explanation: newer oral pill (Femilon) contains 20 mcg EE2. Reference: Shaw's Textbook of Gynaecology 16th edition page no 274